Procedure of choice for evaluation of an aortic aneurysm
1. USG
2. CT
3. MRI
4. Angiography

Correct answer: 2. CT

Explanation: . CT scan is more reliable and precise investigation of choice -gives better information regarding extent on sides or neck,size,dimensions,size and site of the thrombus,calcification,relation of renal arteries ,inflammation and fibrosis and adjacent tissues.MRI may be better only in renal failure patients. Refer page no 198 of SRB's manual of surgery 5 th edition.